Enzyme deficiency in Galactosemia:
1. Galactose 1 phosphate uridyl transferase
2. Aldolase B
3. UDP galactose 4 epimerase
4. Fructokinase

Correct answer: 1. Galactose 1 phosphate uridyl transferase

Explanation: Ans. A. Galactose 1 Phosphate uridyl transferase(Ref: Harper 31/e page 191)Classic galactosemia due to Galactose 1 Phosphate uridyl transferase is most common cause of galactosemia enzyme deficiencyGalactose 1 Phosphate uridyl transferase (Classic Galactosemia)GalactokinaseUDP Hexose 4 Epimerase